Flagellar stage of the parasite of leishmaniasis occurs in:
1. Man
2. Dog
3. Hamster
4. Sandfly

Correct answer: 4. Sandfly

Explanation: Ans. D i.e. Sandfly The life cycle of L. donovani The organism is engulfed by reticuloendothelial cells, in which it multiplies as a leishmania by simple binary fission until the host cell is destroyed, whereupon new macrophage cells are parasitized. In the intestine of insects, the cycle of development is also simple. The leishmanias become leptamonad forms and divide by longitudinal fission into two individuals. Enormous numbers of the leptomond monad stage may Be produced in the intestine of insect vector (Phlebotomus chinensis) and quickly block the gut of the insect. Soon they can be seen in the esophagus, pharynx, and buccal cavity, where they are injected into a new host with the fly's bite. Promastigote is the infective stage, So the life cycle of L. donovani is promastigote --> amastigote -+ promastigote.